SA node is located in ?
1. Triangle of Koch's
2. In crista terminalis
3. In membranous part of interventricular septum
4. Upper part of interatrial septum

Correct answer: 2. In crista terminalis

Explanation: In crista terminalis